Cochlear implants convert what energy to which form of energy
1. Sound energy to mechanical energy to move the hair cells
2. Electrical energy to mechanical energy to move the hair cells
3. Sound energy to electrical impulses
4. Mechanical energy to electrical impulses

Correct answer: 3. Sound energy to electrical impulses

Explanation: Ans. is 'c' i.e., Sound energy to electrical impulses [Ref: NIH Publication No. 11-4798 (2013-11-01).